Term catatonia was used by -
1. Karl kahlbaum
2. Adolf meyer
3. Leo kanner
4. Karen homey

Correct answer: 1. Karl kahlbaum

Explanation: Karl kahlbaum coined the terms catatonia and cyclothymia.